A child has got a congenital cataract in one eye involving the visual axis. When should the child be operated ?
1. Immediately
2. At 2 months of age
3. At 1 year of age when the globe becomes normal sized
4. After 4 years when entire ocular and orbital growth becomes normal

Correct answer: 1. Immediately

Explanation: Presence of dense cataract present at birth is an indication for urgent surgical management to prevent amblyopia. Ref: CURRENT Diagnosis and Treatment: Surgery, 13th Edition, Chapter 37; Comprehensive Ophthalmology By AK Khurana, 4th Edition, Page 174.